Which one of the following hepatic lesions can be diagnosed with high accuracy by using nuclear imaging?
1. Hepatocellular carcinoma
2. Hepatic adenoma
3. Focal nodular hyperplacia
4. Cholangiocarcinoma

Correct answer: 3. Focal nodular hyperplacia

Explanation: FNH contains both Kupffer cells and hepatocytes, and usually shows increased uptake of both Tc - 99m - SC and Tc - 99m - DISIDA. Therefore, FNH can be diagnose with high accuracy by using hepatic scintigraphy (nuclear imaging).